Which one of the following test is used to detect malingering?
1. Stenger test
2. Bing test
3. Weber test
4. Rinne test

Correct answer: 1. Stenger test

Explanation: (a) Stenger test(Ref. Cummings, 6th ed., 2067)Bing, Weber and Rinne tests are for the detection of conductive and SN hearing loss.